Large granular lymphocytes are ?
1. B cells
2. NK cells
3. T cell
4. Plasma cells

Correct answer: 2. NK cells

Explanation: Ans. is 'b' NK cellsNull cells (Large granular lymphocytes) Null cells are called so because they lack features of surface markers of both B and T lymphocytes.The account for 5 to 10% of peripheral blood lymphocytes.They are also called "large granular lymphocytes (LGL)" as they contain large azurophilic cytoplasmic granules. Members of this group are:a) Antibody dependent cytotoxic cells (ADCC)b) Natural killer cells (NK Cells)